All of the following about PDA are true except
1. More common in males
2. Common heart lesion in rubella
3. Treatment is closure of defect by ligation and division of ductus
4. Hypoxia and immuturity are important in maintaining the patency

Correct answer: 1. More common in males

Explanation: Incidence of PDA is more in females (1:3 ratio) PDA is Most common cardiac lesion in rubellla,others are pulmonary stenosis Treatment of PDA is ligation & division especially in term babies PDA is more common among preterm babies Ref : Ghai essential of pediatrics, 8th edition, p.no:417-19